Tianeptine acts by -
1. MAO inhibitor
2. Serotonin uptake inhibitor
3. Serotonin uptake enhancer
4. 5-HT agonist

Correct answer: 3. Serotonin uptake enhancer

Explanation: Mechanism of action of important atypical antipsychotics 

Tianeptine & amineptine   → Serotonin uptake enhancer
Trazodone                           → α-blocking & weak 5-HT antagonistic action.
Venalafaxine & Duloxetine → serotonin and noradrenaline reuptake inhibitor (SNRI).